Epidural narcotic is preferred over epidural LA because it causes
1. Less respiratory depression
2. Less dose is required
3. No motor paralysis
4. No retention of urine

Correct answer: 3. No motor paralysis

Explanation: C i.e. No motor paralysis